Leber's optic neuropathy, true is
1. Typically presents in the fourth decade of life
2. Males do not transmit the disease
3. Is inherited in autosomal X-link fashion
4. The optic disc is pale early in the disease

Correct answer: 2. Males do not transmit the disease

Explanation: It is a type of hereditary optic neuritis which primarily affects males around the age of 20 years. It is transmitted by the female carriers. The condition is characterised by progressive visual failure. The fundus is initially normal or in the acute stage disc may be mildly hyperaemic with telangiectatic microangiopathy. Eventually bilateral primary optic atrophy ensues. Ref: AK Khurana 4thE pg 296